Which of these is true regarding CML -a) Size of splenomegaly indicates prognosisb) Phagocytic activity of WBC is reducedc) Sudan black stain is specific for myeloblastd) Myeloblast, granuloblast and lymphoblast are PH chromosome +ve.
1. b
2. c
3. ac
4. ad

Correct answer: 4. ad